Phalen test is done for?
1. De quervains tenosynovitis
2. Carpal tunnel syndrome
3. Rotator cuff injury
4. Tennis elbow

Correct answer: 2. Carpal tunnel syndrome

Explanation: Ans. (b) Carpal tunnel syndromeRef-.Appendix-135 for "Tests used in orthopedics)